True about Bain circuit – a) Mapleson type Bb) Mapleson type Dc) Can be used for spontaneous respirationd) Can be used for controlled vantilatione) Coaxial
1. bce
2. abd
3. bcde
4. acde

Correct answer: 3. bcde

Explanation: Bain circuit (type D Mapleson) is a co-axial system.
It is the circuit of choice for controlled ventilation.
It can also be used for spontaneous ventilation.